Patient with pelvic fracture presents with anuria. After 24 hrs bladder is not palpable. Possible diagnosis includes:
1. Bulbar urethral injury
2. Posterior urethral injury
3. Extraperitoneal rupture of bladder
4. All

Correct answer: 3. Extraperitoneal rupture of bladder

Explanation: Ans is c (Extraperitoneal rupture of bladder) The provided clues suggest rupture of the bladder, either intraperitoneal or extraperitoneal. The differentiation between the two could not be made on the basis of given clinical findings.